Which of the following is not a component of Reynold's pentad in toxic cholangitis
1. Right upper quadrant pain
2. Confusion
3. Septic shock
4. Markedly elevated transaminases

Correct answer: 4. Markedly elevated transaminases

Explanation: Reynold's pentad consists of Charcot's triad Menatl status changes Hypotension Charcot's triad Abdominal pain + jaundice + fever Ref: Sabiston 20th edition Pgno :1507